True about mumps vaccine -
1. Killed vaccine
2. Efficacy 95%
3. Only one dose is given
4. Not combined with other vaccines

Correct answer: 2. Efficacy 95%

Explanation: Ans. is 'b' i.e., Efficacy 95% Mumps vaccineo Highly effective live attenuated vaccine is now available for the prevention of mumps,o Widely-used live attenuated mumps vaccine strains include the Jeryl-Lynn, RIT 4385, Leningrad-3, L-Zagreb and Urabe strains.o Live attenuated mumps vaccine strains used only on a limited scale include the Hoshino, Torii and NKM-46 strains.o The WHO recommends that the Rubini mumps vaccine strain should not be used in national immunization programmes because of its demonstrated low effectiveness,o A single dose (0[?]5 ml) intramuscularly produces detectable antibodies in 95% of vaccines,o The duration of long-term immunity is not known.o It is recommended for routine immunization for children over 1 year of age, either alone or in combination with other virus vaccines, e.g. in MMR vaccine or as a quadrivalent vaccine with varicella,o A second dose is recommended for children at 4-6 years of age i.e., before starting the school,o The current mumps strain (Jeryl Lynm) has the lowest associated incidence of post vaccine aseptic meningitis (from I in 150,000 to l in 1[?]8 million).o There are no known case of long-term sequelae associated with mumps vaccination.